Anti-apoptotic factor is?
1. Bax
2. Bim
3. Bad
4. Bcl-2

Correct answer: 4. Bcl-2

Explanation: Ans is 'd' i.e. Bcl-2 Genes/proteins regulating apoptosisProapoptoticAntiapoptotico Apaf-1 (apoptosis activating factor-1)o BCL-2o Cytochrome Co BCL-Xo Bako Mcl-1o Baxo IAPso Bimo FLIPo AIF (apoptosis inducing factor) o P53 gene o Caspases o TNFRI o FAS (CD95) o FADD (Fas associated death domain) o BH3 only proteins (Bim, Bid, Bad) o Smac/DIABLO